Endogenous opioid peptide includes:
1. Encephalin
2. Endorphins
3. Dynorphins
4. All of the above

Correct answer: 4. All of the above

Explanation: all the above Endorphins, enkephalins, and dynorphins are all endogenous compounds. These are having morphine like actions. These opiod peptides modulates pain perception, mood, hedonic, and motor behaviour, emesis, pitiutary hormone release and git motility. Ref KD Tripathi 8th ed